In "Three glass test" shreds are present in 1st glass only. The likely diagnosis would be:
1. Cystitis
2. Renal pathology
3. Anterior urethritis
4. Prostatitis

Correct answer: 3. Anterior urethritis

Explanation: Ans is 'c' i.e. Anterior urethritis The "three glass test" is useful is differentiating the site of hematuria or pyuria. The patient is asked to void and collect separately the first 10 ml, the midstream and the last few drops in 3 separate labeled containers. Largest number of cells (blood or pus) in: - the first container indicates: anterior urethral disorders - the last container indicates: disorders of bladder neck, prostate or posterior urethra equal in all containers indicates: diseases above the bladder neck.